Middle path regimen is used in the treatment of
1. TB Spine
2. TB Hip
3. TB Knee
4. TB Meningitis

Correct answer: 1. TB Spine

Explanation: Middle path regimen is used in the treatment of SPINAL TB. 1)Drugs (ATT) 2)Surgery: INDICATIONS: 1)Defaulter 2)Relapses 3)Resistance 4)Compression over vital structure. Surgery done is amterolateral decompression with cortical rib/fibular stut grafting.